In urea synthesis, the amino acid functioning solely as an enzyme activator:
1. N-acetyl glutamate
2. Ornithine
3. Citrulline
4. Arginine

Correct answer: 1. N-acetyl glutamate

Explanation: The major regulatory step is catalyzed by CPS-I where the positive effector is N-acetyl glutamate (NAG). It is formed from glutamate and acetyl CoA. Arginine is an activator of NAG synthase.
Reference: Vasudevan 7th  ed, pg 205